Caspase dependent programmed cell death is
1. Necroptosis
2. Pyroptosis
3. Autophagy
4. None of them

Correct answer: 2. Pyroptosis

Explanation: It is a caspase (caspase 1 & 11) dependent programmed cell death. It is a form of programmed cell death associated with antimicrobial responses during inflammation.